True about right principal bronchus ?
1. Narrower
2. Horizontal
3. Shorter
4. All are true

Correct answer: 3. Shorter

Explanation: Features of right bronchus (in comparison to left bronchus)1) Shorter2) Wider3) Vertical (in the line of trachea).